Foramen spinosum transmits the following
1. Meningeal branch of the mandibular nerve , middle meningeal artery
2. Superior ophthalmic vein from the cavernous sinus
3. Both of the above
4. None of the above

Correct answer: 1. Meningeal branch of the mandibular nerve , middle meningeal artery

Explanation: Foramen spinosum transmits Middle meningeal artery & vein Emissary vein Nervosus spinosus - Meningeal branch of the mandibular nerve